Which is the major hormone secreted by the corpus luteum in a lady of reproductive age?
1. Estrogen
2. Progesterone
3. Testosterone
4. Thyroxine

Correct answer: 2. Progesterone

Explanation: Corpus luteum mainly secretes progesterone and small quantities of estrogen. The follicle that ruptures at the time of ovulation promptly fills with blood and is called corpus hemorragicum. The granulosa and theca cells of the follicle lining begin to proliferate, and the clotted blood is rapidly replaced with yellowish, lipid-rich luteal cells, forming the corpus luteum. Growth of corpus luteum depends upon adequate blood supply and availability of VEGF. If pregnancy occurs, corpus luteum persists and if pregnancy does not occur the corpus luteum begins to degenerate about 4 days before the next menses (24th day of the cycle) and is eventually replaced by scar tissue, forming a corpus albicans. Ref: Ganong's Review of Medical Physiology, 24th Edition, Chapter 22